Variable deceleration indicates:
1. Head compression
2. Cord compression
3. Fetal hypoxaemia
4. Maternal sedation

Correct answer: 2. Cord compression

Explanation: Ans: B (Cord compression) Ref: DC Dutta's Textbook of obstetrics, 7th edn, PgExplanation:Variable deceleration occurs in Cord compression.Late deceleration occurs in Fetal hypoxemia.Early deceleration occurs in Head compression